True about GBS is A/E-
1. Demyelination
2. Prior viral infection
3. Prior bacterial infection
4. Predominant sensory involvement

Correct answer: 4. Predominant sensory involvement

Explanation: Ans. is 'd' i.e., Predominant sensory involvemento The acute immune-mediated polvneuropathies are classified under the eponym Guillain-Barre symdrome (GBS).o GBS is an acute monophasic paralyzing illness, usually provoked by a preceding infection.o Guillain Barre syndrome is thought to result from an immune response to preceeding infection that cross reacts to peripheral nerve.o The triggerring events for GBS is : -Campylobacter jejuni (most common)CytomegalovirusEpstein Barr virusHIVOt her trigering events : -ImmunisationSurgeryTraumaBone marrow transplantationo Historically, the Guillain-Barre syndrome (GBS) was considered a single disorder.o It now is recoginized as a heterogeneous syndrome with several variant forms.o The major forms are: -Acute inflammatory demyelinating polyradiculoneuropathy (A1DP).The Miller Fisher syndrome (MFS).Acute moior axonal neuropathy {AMAN)o Acute sensorimotor axonal neuropathy (AMSAN).o Each form of GBS has distinguishing clinical, pathophysiologic and pathologic feature.Pathogenesiso One proposed mechanism for Guillain-Barre syndrome {GBS) is that an antecedent infection evokes an immune response, which in turn cross-reads with peripheral nerve components because of the sharing of cross-reactive epitopes "molecular mimicry"o The end result is an acute polyneuropathy.o This immune response is directed towards the myelin or the axon ofperipheral nerve.o Immune reactions directed against epitopes in Schwann cell surface membrane or myelin cause acute inflammatory demyelinating neuropathy (A I DP).o The pathology is that of multifocal inflammatory1 demyelination starting at the level of the nerve roots.o The earliest changes are frequently seen at the nodes of Ranvier.o Both the cellular and humoral immune responses participate in the process.o Invasion by activated T-cell is followed by macrophage-mediated demyelination with evidence of complement and immunoglobulin deposition on myelin and Schwann cell,o No specific myelin antigen have been identified.